An entity of pneumothorax which leads to build up of positive pressure within the hemithorax, leading to collapse of lung, flattened diaphragm, mediastinal shift to contralateral side and eventually the venous return to the right side of heart is compromised is known as
1. Primary spontaneous pneumothorax
2. Tension pneumothorax
3. Haemo-pneumothorax
4. Secondary spontaneous pneumothorax

Correct answer: 2. Tension pneumothorax

Explanation: During inspiration,air is pumped into the pleural cavity through a valvular opening in the visceral pleura and underlying injured lung,leading to build up of positive pressure within the hemithorax.Lung collapses first,and as air continuously collects in the pleural cavity,mediastinum shifts towards the oppposite side,further decreasing the volume of the functioning lung.Further increase in the pleural pressure,reduces the venous return,atrial filling,and ventricular filling and so cardiac output and cardiac function.It causes sudden death & emergency treatment is required. Reference:Bailey & Love's short practise of surgery,25th edition,page no:1116,1117.